What is the new advance in cataract surgery?
1. Femtosecond laser
2. Neodymium Laser
3. Nanosecond laser
4. Picosecond Laser

Correct answer: 1. Femtosecond laser

Explanation: Ans. is 'a' i.e., Femtosecond laser * Femtosecond laser-assisted cataract surgery provides surgeons an exciting new option to potentially improve patient outcomes and safety.* In this surgery a femtosecond laser is used for various steps like lens fragmentation and capsulotomy.* Although the results have been good the technology is currently very expensive.